True about linea aspera
1. Forms lateral border of femur
2. Fomas medial border of femur
3. Continues as gluteal tuberosity
4. Roughened surface on the shaft of the tibia

Correct answer: 3. Continues as gluteal tuberosity

Explanation: LINEA ASPERA:- Posterior border of femur is in the form of broad roughened ridge.In the upper one-third of shaft,two lips of linea aspera diverge to enclose an additional posterior surface.In the lower one-third of the shaft two lips diverge as supracondylar lines to enclose popliteal surface. Continues above as gluteal tuberosity. Medial lip-adductor longus Lateral lip-sho head of biceps femoris. {Reference: BDC 6E pg no.17}